Which of the following trace element has Vitamin E sparing effect -
1. Copper
2. Iron
3. Magnesium
4. Selenium

Correct answer: 4. Selenium

Explanation: Ans. is 'd' i.e., Selenium o Selenium prevents lipid peroxidation and offers protection against free radicals,o Vitamin E also has the same effect (antioxidant) though by a different mechanism,o Thus selenium and vitamin E supplement each other.o Availability of vitamin E reduces the selenium requirment and conversely, in selenium-deficient tissue, vitamin E is depleted.